Best measure of socioeconomic status ?
1. Child mortality rate
2. MMR
3. Low birth weight rate
4. Neonatal mortality rate

Correct answer: 1. Child mortality rate

Explanation: Ans. is 'a' i.e., Child mortality rate Under 5 mortality rate (child mortality rate) is the best indicator of socioeconomic status of country. IMR is best indicator for :- Health status of a community. Level of living. Effectiveness of MCH services. IMR is second best indicator of socioeconomic status of country (under 5 mortality rate is more refined indicator for socioeconomic status).